4 cm breast nodule with ipsilateral mobile LN in axilla staging -
1. T2N1M0
2. T2N2M0
3. T1N1M0
4. T3N2M1

Correct answer: 1. T2N1M0

Explanation: 4 cm breast nodule i.e. - T2 Ipsilateral, mobile axillary i.e. - N1 No metastasis- Mo hence stage II breast cancer. Ref - Srb's manual of surgery 5e p539